Which of the following diuretic can lead to Erectile dysfunction?
1. Loop diuretics
2. Carbonic anhydrase inhibitor
3. Thiazide diuretics
4. Mannitol

Correct answer: 3. Thiazide diuretics

Explanation: Thiazide diuretics can cause erectile dysfunction.